Severe acute malnutrition (SAM) according to the WHO criteria is:
1. Weight for age less than median plus -2SD
2. Weight for height less than median plus 2SD
3. Weight for age less than median plus 3SD
4. Weight for height less than median minus -3SD

Correct answer: 4. Weight for height less than median minus -3SD

Explanation: Severe acute malnutrition (SAM) according to the WHO criteria is Weight for height less than median minus -3SD. Severe acute malnutrition (SAM) in children of ages 6 to 59 months is defined by the WHO as any of the following: Weight-for-length (or height) below -3SD of the WHO child growth standards. Presence of bipedal edema Mid-Upper arm circumference <11.5cm Ref: Ghai Essential Pediatrics 9th edition PGno: 97